In apoptosis, Apaf-1 is activated by release of which of the following substances from the mitochondria ?
1. Bel - 2
2. Bax
3. Bcl - XL
4. Cytochrome C

Correct answer: 4. Cytochrome C

Explanation: Ans is 'd' i.e., Cytochrome CApoptosis is induced by a cascade of molecular events all of which culminate in the activation of caspases. 'In the cytosol cytochrome C binds to a protein called Apaf I (Apoptosis activating factor - 1) and the complex activates caspase 9'